The drug of choice for the treatment of chlamydial infection is-
1. Ampicillin
2. Third generation cephalosporins
3. Metronidazole
4. Doxycycline

Correct answer: 4. Doxycycline

Explanation: A 7-day course of tetracycline (500 mg four times daily), doxycycline (100 mg twice daily), erythromycin (500 mg four times daily), or a fluoroquinolone (ofloxacin, 300 mg twice daily; or levofloxacin, 500 mg/d) can be used for treatment of uncomplicated chlamydial infections. A single 1-g oral dose of azithromycin is as effective as a 7-day course of doxycycline for the treatment of uncomplicated genital C. trachomatis infections in adults. (Harrison's Principles of internal medicine, 20th edition, page 1426)